Which one of the following NOT a contraindication in Porphyria?
1. High calorie diet
2. Phenobarbitone
3. Alcohol
4. Norethisterone

Correct answer: 1. High calorie diet

Explanation: (A) High calorie diet # High calorie diet and intravenous dextrose are used as treatment in Acute Porphyria. Alcohol, Phenobarbitone, and Norethisterone are enzyme inducers, which are causing more Heme precursosrs production and thereby are contraindicated in Acute Porphyria.